Which system transmits somatosensory information with the highest degree of temporal and spatial fidelity?
1. Anterolateral system
2. Dorsal column-medial lemniscal system
3. Corticospinal system
4. Spinocerebellar system

Correct answer: 2. Dorsal column-medial lemniscal system

Explanation: Temporal and spatial fidelity is enhanced in the dorsal column-medial lemniscal system compared with the anterolateral system. Dorsal column-medial lemniscal system has a high degree of spatial orientation of the nerve fibers with respect to their origin and thus relay sensory information that must be transmitted rapidly with temporal and spatial fidelity, whereas the anterolateral system has much less spatial orientation and relay sensations which does not need to be transmitted rapidly or with great spatial fidelity.